Ferrule can be defined as:
1. Vertical band of metal that supports and strengthen tooth.
2. Horizontal band of metal that supports and strengthen tooth.
3. Thickness of remaining dentin around the post.
4. Diameter of remaining dentin around the post.

Correct answer: 1. Vertical band of metal that supports and strengthen tooth.